A 14-year-old girl presents with primary amenorrhea and monthly lower abdomen pain. She has good secondary sexual characteristics with axillary and pubic hair. Examination of the external genitalia reveals a bulging bluish membrane. Most appropriate next step in diagnosis:
1. Perform a hormonal profile
2. Perform a karyotype
3. Perform a laparoscopy
4. Perform an USG

Correct answer: 4. Perform an USG

Explanation: Ans. is d, i.e. Perform an USGThis patient has imperforate hymen as she has monthly abdominal pain, good secondary sexual characteristics and a bulging bluish membrane (due to collection of blood in vagina) is seen.Most appropriate next step is to do an USG to confirm the presence of uterus, cervix and vagina.